Which of the following drug is deposited in the retina?
1. Isoninazid
2. Chloroquine
3. Rifampicin
4. Pyrizinamide

Correct answer: 2. Chloroquine

Explanation: Prolonged use of high doses (as needed for rheumatoid arthritis, DLE, etc.) may cause loss of vision due to retinal damage. Corneal deposits may also occur and affect vision, but are reversible on discontinuation. ESSENTIALS OF PHARMACOLOGY page no. 823